A tennis player presented with pain and tenderness at the lateral epicondyle of the humerus. These findings are consistent with the diagnosis of:
1. Tennis elbow
2. Golfer's elbow
3. Fibrositis
4. Duputren's contracture

Correct answer: 1. Tennis elbow

Explanation: Ans. A: Tennis elbow